The HIV virus binds directly to the surface receptors of CD4 lymphocytes with _____.
1. Reverse transcriptase
2. Integrase
3. Hemagglutinin
4. Glycoprotein 120

Correct answer: 4. Glycoprotein 120

Explanation: HIV’s envelope contains two glycoproteins, gp120 and gp41. gp120 binds specifically with CD4 surface receptors.